All of the following statements are true regarding the pudendal nerve, except:
1. It is both sensory and motor
2. It is derived from S2,3,4
3. It leaves the pelvis through the lesser sciatic foramen
4. It leaves through lesser sciatic foramen and enter pudendal canal

Correct answer: 3. It leaves the pelvis through the lesser sciatic foramen

Explanation: Pudendal nerve leaves the pelvis, to enter the gluteal region, by passing through the lower part of the greater sciatic foramen. Pudendal nerve leaves the gluteal region by passing through the lesser sciatic foramen and enters the pudendal canal, and by means of its branches supplies the external anal sphincter and muscles and skin of the perineum. Ref: Clinical anatomy for Medical Students By Richard S Snell, 6th Edition, Pages 362-3 ; B.D.Chaurasia's Human Anatomy, 5th Edition, Volume 2, Page 365